A woman with infertility receives an ovary transplant from her sister who is an identical twin. What type of graft it is?
1. Xenograf
2. Autograft
3. Allograft
4. Isograft

Correct answer: 4. Isograft

Explanation: Ans. is 'd' i.e., Isograft (Ref: Ananthanarayan, 9th/e)